Which antimalarial drug is known to cause neuropsychiatric adverse reaction ?
1. Artesunate
2. Artemisinin
3. Quinine
4. Mefloquine

Correct answer: 4. Mefloquine